Liver is divided in 2 halves by all, except:
1. Right Hepatic Vein
2. Portal Vein
3. Hepatic Artery
4. Common Bile Duct

Correct answer: 1. Right Hepatic Vein

Explanation: A i.e. Right Hepatic Vein